Antidote for organophosphorous poisoning is:
1. Atropine
2. Neostigmine
3. Susccinylcholine
4. D tubocurarine

Correct answer: 1. Atropine

Explanation: aRef: KDT, 5th ed, p. 91 & 100 & 4th ed, p. 101,89